Which of the following statements about pyogenic abscess of the liver are true?
1. The right lobe is more commonly involved than the left lobe.
2. Appendicitis with perforation and abscess is the most common underlying cause of hepatic abscess.
3. Mortality is largely not determined by the underlying disease.
4. Mortality from hepatic abscess is currently greater than 40%.

Correct answer: 1. The right lobe is more commonly involved than the left lobe.

Explanation: Involvement of the right lobe with abscess formation approximates 70% of pyogenic abscesses. This is thought to be due to the streaming effect of superior mesenteric venous inflow to the right lobe. In addition, the greater volume of the right lobe predisposes more tissue to seeding by bacterial organisms. While appendicitis comprised 25% to 40% of cases in early series, early recognition and operative therapy for appendicitis have reduced its importance significantly. In current series, malignant or benign biliary obstruction is the underlying cause of 35% to 50% of cases. Recent studies have shown that the underlying disease or an immunocompromised host is more important prognostically than solitary versus multiple abscesses.